Metabolism of 100 grams of fat will yield approximately how many kilocalories?
1. 200
2. 400
3. 600
4. 900

Correct answer: 4. 900

Explanation: Carbohydrates and proteins both contain approximately 4 kcal of energy per gram. Fats are the more energy-efficient storage form, containing 9 kcal of energy per gram. 100 grams of fat would yield 900 kcal of energy. The unit commonly used in physiology and medicine is the Calorie (kilocalorie; kcal), which equals 1000 cal. Ref: Barrett K.E., Barman S.M., Boitano S., Brooks H.L. (2012). Chapter 26. Digestion, Absorption, & Nutritional Principles. In K.E. Barrett, S.M. Barman, S. Boitano, H.L. Brooks (Eds), Ganong's Review of Medical Physiology, 24e.